Sign of Groove is found in -
1. Chancroid
2. Granuloma inguinale
3. LGV
4. Syphilis

Correct answer: 3. LGV

Explanation: C i.e. LGV